IQ of 15 is which grade of intellectual disability -
1. Mild
2. Moderate
3. Borderline
4. Profound

Correct answer: 4. Profound

Explanation: Ans. is 'd' i.e., ProfoundCategoryIQNormal intelligence> 90Borderline intelligence70 - 89Intellectual disabilityMild MR50 - 69Moderate MR35-49Severe MR20-34Profound MR0-19